Posterior dislocation of Hip can damage which nerve-
1. Superior gluteal
2. Sciatic
3. Inferior gluteal
4. Femoral

Correct answer: 2. Sciatic

Explanation: Ans. is 'b' i.e., SciaticComplications of posterior dislocation of hipo Complications of posterior dislocation areInjury to sciatic nerve The nerve is vulnerable to injury where it lies behind the posterior wall of acetabulum.Avascular necrosis of femoral head) Damage to the femoral headMyositis ossificans (Post-traumatic ossification)Osteoarthritis